Virchow's triad includes all ,except:
1. Injury to vein
2. Venous thrombosis
3. Venous stasis
4. Hypercoagulability of blood

Correct answer: 2. Venous thrombosis

Explanation: . Venous thrombosis